All of the following statements are true regarding the submandibular gland except?
1. Lingual nerve loops around the submandibular duct
2. Facial artery is related to superficial part of the gland
3. The gland is wrapped around the posterior border of mylohyoid
4. Gland is made up of small superficial part and large deep part

Correct answer: 4. Gland is made up of small superficial part and large deep part

Explanation: Submandibular gland Consist of large superficial part and small deep part Wrapped around the posterior border of Mylohyoid muscle. Lingual nerve loops around the submandibular duct Facial artery is related to superficial part of the gland